The valuable test for evaluating caries activity in very
young children is
1. Lactobacillus colony count test
2. Swab test
3. Alban test
4. Calorimetric snyder test

Correct answer: 2. Swab test